Hormone Replacement Therapy is contraindicated in menopausal women in all of these EXCEPT?
1. Vaginal atrophy
2. Ca breast
3. Ca endometrium
4. Undiagnosed Vaginal bleeding

Correct answer: 1. Vaginal atrophy

Explanation: Contraindications to hormone therapy use include Undiagnosed vaginal bleeding H/o Breast cancer H/O Endometrial Cancer Liver Dysfunction Thromboembolic Disease Fibroids Porphyria Indications of H include: vasomotor symptoms (hot flushes), urogenital atrophy ( includes vaginal atrophy), prevention and treatment of osteoporosis, premature ovarian failure